Paralysis of 3rd, 4th, 6th nerves with involvement of ophthalmic division of 5th nerve,localizes the lesion to
1. Cavernous sinus
2. Apex of orbit
3. Brainstem
4. Base of skull

Correct answer: 1. Cavernous sinus

Explanation: 3,4,5 cranial nerves pass in relation to the lateral wall of cavernous sinus. 6th cranial nerve passes through the cavernous sinus. Ref - BDC 6th vol3 topic - cranial nerves ;pg350